The predominant isozyme of LDH in Lung is:
1. LD-1
2. LD-2
3. LD-3
4. LD-5

Correct answer: 3. LD-3

Explanation: Isoenzymes of Lactate Dehydrogenase: Lactate dehydrogenase is a tetrameric enzyme and consists of four subunits. These subunits can occurs in two isoforms i.e. H isoform (for heart), M isoform (for muscle). LDH-1 (4H) - in the heart and RBCs LDH-2 (3H1M) - in the reticuloendothelial system LDH-3 (2H2M) - in the lungs LDH-4 (1H3M) - in the kidneys, placenta, and pancreas LDH-5 (4M) - in the liver and striated muscle Normal value of LDH in serum is 100-200 U/L. LDH level is 100 times more inside the RBC than in plasma, and therefore minor amount of hemolysis will result in a false positive test. Ref: Harper's Illustrated Biochemistry, 26th Edition, Page 57; Textbook of Biochemistry By Vasudevan, 5th Edition, Page 53